Alcoholic blackouts are seen at which dose of alcohol intoxication?
1. 20-30 mg/dl
2. 30-80 mg/dl
3. 80-200 mg/dl
4. 200-300 mg/dl

Correct answer: 4. 200-300 mg/dl

Explanation: Alcohol blackouts or anterograde amnesia is seen at the dose range of 200-300mg/dl changes due to intoxication of alcohol at various blood levels is the most repeated question under alcohol use and the below table explains it in detail Ref: Essentials of postgraduate psychiatry By JN Vyas 1st ed Pg 331